Curie is the unit for –
1. Radiation emitted
2. Radiation absorbed
3. Radioactivity
4. All of the above

Correct answer: 3. Radioactivity

Explanation: Units of Activity .
The activity of radioactive material is the number of nuclear disintegration per unit of time.
The units of activity.

Bacquerel
Curies